Magaldrate is converted by gastric acid to ?
1. Magnesium hydroxide
2. Magnesium hydroxide and calcium carbonate
3. Magnesium hydroxide and Aluminium hydroxide
4. Calcium carbonate and aluminium hydroxide

Correct answer: 3. Magnesium hydroxide and Aluminium hydroxide

Explanation: Ans. is `c' i.e., Magnesium hydroxide and Aluminium hydroxide Magaldrate: Magaldrateis a common antaciddrug that is used for the treatment of duodenal and gastric ulcers, esophagitis from gastroesophageal reflux. Magaldrate is a hydroxymagnesium aluminate complex that is converted rapidly in gastric acid to Mg(OH), and Al(OH)3, which are absorbed poorly and thus provide a sustained antacid effect.